Which drug is essential in Sheehan's syndrome
1. Estrogen
2. Cortisone
3. Thyroxine
4. Growth hormone

Correct answer: 2. Cortisone

Explanation: Sheehan syndrome is a condition that happens when the pituitary gland is damaged during childbirth. It's caused by excess blood loss (hemorrhage) or extremely low blood pressure during or after labor. A lack of blood deprives the pituitary of the oxygen it needs to work properly Lifelong hormone replacement therapy for the hormones that are missing. This may involve treatment with glucocorticoids. After hormone profiling, treatment with cortisol, ACTH, thyroid hormones, gonadotropins, and prolactin as seen in cases of hypopituitarism may occur.[ Ref Harrison20th edition pg 2456